Infra ocular pressure rises in ?
1. Intubation & laryngoscopy
2. LMA
3. Infusion of IV propofol
4. Bag and mask ventilation

Correct answer: 1. Intubation & laryngoscopy

Explanation: Ans. is 'a' i.e., Intubation & laryngoscopy Laryngoscopy and intubation of trachea can dramatically increase intraocular pressure to a values as high as 40 mm Hg. Administration of intravenous lignocaine prior to intubation has been found to prevent an increase in IOR IOP changes with LMA insertion are less than those following tracheal intubation.